Structure injured while resecting the free edge of lesser omentum is
1. Cystic duct
2. Portal vein
3. Left gastric artery
4. Right gastroepiploic artery

Correct answer: 2. Portal vein

Explanation: Lesser omentum: - It extends from liver to stomach (lesser curvature) and duodenum (first 2 cm). The part of lesser omentum from liver to stomach is called hepatogastric ligament, and part from liver to duodenum is called hepatoduodenal ligament. Hepatogastric ligament forms anterior free wall of lesser sac (omental bursa) and contains right and left gastric vessels, branches of gastric nerves and lymph vessels. Hepatoduodenal ligament forms right free margin, contains portal vein, hepatic artery proper, bile duct, lymphatics and hepatic plexus of nerves. Lesser omentum develops from ventral mesogastrium (dorsal part).